Superior orbital fissure syndrome involves which of the following cranial nerves?
1. II, III, IV, V and VI
2. Ill, IV, and first division of V and VI
3. VII and VIII
4. IX, X and XI

Correct answer: 2. Ill, IV, and first division of V and VI

Explanation: Ans. b (III, IV, and first division of V and VI) (Ref: Harrison 18thJCh. 26)Major Openings of the Skull BaseApertureContentsCribriform plateOlfactory nerves, ethmoid arteriesOptic canalOptic nerve-sheath complex; Ophthalmic arterySuperior orbital fissureCranial nerves III, IV, VI and VI (ophthalmic nerve), Superior ophthalmic veinForamen ovaleV3 (mandibular nerve)Foramen rotundumV2 (maxillary nerve)Foramen spinosumMiddle meningeal arteryVidian canalVidian artery, Vidian nerveCarotid canal^Internal carotid arterySympathetic plexusJugular foramen, pars nervosa; CN IX and inferior petrosal sinusJugular foramen, pars vascularisInternal jugular vein; CN X and XIStylomastoid foramenCN VIIHypoglossal canalCN XIISupraorbital Fissure:Structures that pass through it:# Lacrimal nerve# Frontal nerve# Trochlear nerve# Superior branch of oculomotor nerve# Nasociliary nerve# Inferior branch of oculomotor nerve# Abducent nerve# Ophthalmic veins# Sympathetic nerves Cavernous Sinus content and veins drain with Rule of 3# 3 Afferent veins: Sphenoparietal sinus (Vault veins), Supf Middle cerebral Vein (Brain), Ophthalmic vein# 3 Efferent Veins: Superior petrosal sinus, Inferior Petrosal Sinus, Communicating vein to pterygoid plexus# 3 Contents; Cranial Nerves (III, IV, V1, V2 & VI)# 3 Areas Drain into it: Vault Bones, Brain (Cerebral Hemisphere), Orbit# 3 Nerves: Motor (III, IV,VI),Sensory (V1,V2), Sympathetic